Otoacoustic emissions arise from ______
1. Outer hair cells
2. Inner hair cells
3. Both
4. Organ of corti

Correct answer: 1. Outer hair cells

Explanation: Otoacoustic Emissions (OAEs) They are low intensity sounds produced by outer hair cells of a normal cochlea and can be elicited by a very sensitive microphone placed in the external ear canal and an analysis by a computer. Sound produced by outer hair cells travels in a reverse direction: Outer hair cells-basilar membrane- perilymph- oval window- ossicles- tympanic membrane- ear canal.